bcl2 in B-cell lymphoma the translocation involving-
1. t (8 : 14)
2. t (8 :12)
3. t(14:18)
4. t(14 : 22)

Correct answer: 3. t(14:18)

Explanation: In all follicular lymphomas ,the tumour cells are positive for pan-B markers such as CD19& CD20 along with expression of BCL2 protein .Cytogenic studies show characteristic translocation t(14;18) in tumor cells. Ref: Harshmohan textbook of pathology pg 356